Local anaesthetics act by inhibiting ?
1. Influx of IC+
2. Efflux of IC+
3. Influx of Na+
4. Efflux of Na+

Correct answer: 3. Influx of Na+

Explanation: Ans. is 'c' i.e., Influx of Na+